Which of the following beta blocker has additional vasodilator action?
1. Atenolol
2. Metoprolol
3. Propranolol
4. Carvedilol

Correct answer: 4. Carvedilol

Explanation: Carvedilol has additional vasodilatory action due to its alpha blocking property. These are called third generation beta blockers. Third-Generation Beta-Blockers - a blockade (labetalol, carvedilol), - b2 agonism (celiprolol, carteolol, bopindolol), - Release of NO (nebivolol, nipradilol), - Opening of K+ channels (tilisolol) - Inhibition of Ca2+ channels (carvedilol, bevantolol, betaxolol).